All are true about Vitamin B12,except ?
1. Active form is methylcobalamine
2. Requires for conversion of homocysteine to methionine
3. Requires in metabolism of methylmalonyl CoA
4. Requires for conversion of pyruvate to lactate

Correct answer: 4. Requires for conversion of pyruvate to lactate

Explanation: Ans. is'd' i.e., Requires for conversion of pyruvate to lactate